Anagen effluvium is induced by all except -
1. Radiation
2. PEM
3. Anticancer drug
4. Prolonged Iabor

Correct answer: 4. Prolonged Iabor

Explanation: Causes of anagen effluvium drugs: antimitotics- cyclophosphamide, methotrexate, actinomycin, doxorubicin, 5 fluorouracil,azathioprine, busulphan anticoagulants-heparin, warfarin,dextran metallic slats- thallium, arsenic,gold,bismuth others-levodopa, colchicine ionising radiation Ref Harrison20th edition pg 1236